All are true about Ewing's sarcoma except
1. Low grade tumor has good prognosis
2. Pain is most common symptom
3. Onion peel appearance
4. Associated with t(11,22)

Correct answer: 1. Low grade tumor has good prognosis

Explanation: All cases of Ewing's sarcoma are considered as high grade.
Histological grading has no prognostic significance.